In children with cerebral oedema which one of the following corticosteroids will be effective –
1. Hydrocortisone
2. Prednisolone
3. Dexamethasone
4. Betamethasone

Correct answer: 3. Dexamethasone

Explanation: Dexamethasone is preferred.